Kidney secretes:
1. Erythropoietin
2. Angiotensin I
3. Angiotensin II
4. Thrombodulin

Correct answer: 1. Erythropoietin

Explanation: Ans. A i.e. Erythropoietin